All are TRUE about carcinoid syndrome, EXCEPT:
1. Flushing associated with it affects upper part of the body
2. Tricuspid regurgitation is the most common cardiac lesion
3. Midgut carcinoids account for 60-70 % of case of carcinoid syndrome
4. Serotonin appears to be involved in the flushing symptoms

Correct answer: 4. Serotonin appears to be involved in the flushing symptoms

Explanation: Serotonin does not appear to be involved in the flushing because flushing is not relieved by serotonin receptor antagonists. Flushing associated with it affects predominantly upper part of the body especially the neck and face. In patients with carcinoid heart disease, 97% have tricuspid insufficiency, 59% tricuspid stenosis, 50% pulmonary insufficiency, 25% pulmonary stenosis, and 11% (0-25%) left-side lesions. Midgut carcinoids account for 60-67% of cases of carcinoid syndrome, foregut tumors for 2-33%, hindgut for 1-8%, and an unknown primary location for 2-15%. Ref: Harrisons principles of internal medicine, 18th edition, Page: 3063.